Tension band wiring is done in all except-
1. Fracture patella
2. Fracture alecranon
3. Fracture medial malleolus
4. Colle's fracture

Correct answer: 4. Colle's fracture

Explanation: Tension band wiring is used in patella fracture, olecranon fracture, medial malleolus fractures, lateral malleolus fracture, fracture greater trochanter of femur, fracture greater tubercle of humerus, fracture tibial tuberosity and tuber calcaneus fracture.